Stenson duct pierces the following structures :
a. Pharyngobasilar fascia
b. Superior constrictor muscle
c. Buccinator
d. Buccopharyngeal fascia
e. Masseter
1. a, b, e
2. b, a, e
3. c, e ,a
4. d, c

Correct answer: 4. d, c

Explanation: Parotid duct .